True about telomerase is:
1. Ribonucleoprotein
2. Transcriptional factor activation
3. Membrane receptor
4. DNA binding domain

Correct answer: 1. Ribonucleoprotein

Explanation: Telomerase is a ribonucleoprotein particle required for telomere maintenance. Telomerase contains an RNA that serves as the template, not the primer, for the synthesis of telomeric DNA by the reverse transcriptase of telomerase. Telomeric RNA has no catalytic activity. As a reverse transcriptase, telomerase synthesizes DNA using its RNA template and so is an RNA-Dependent DNA polymerase. Telomerase is highly active in the early embryo, and after birth it is active in the reproductive and stem cell Telomerase activity high in cancer cell Its maintain cell longevity